Sirolimus is more likely to cause ____________ more than cyclosporine:
1. Hypertension
2. Osteoporosis
3. Renal insufficiency
4. Thrombocytopenia

Correct answer: 4. Thrombocytopenia

Explanation: * Sirolimus (rapamycin) results in suppression of bone marrow,mainly causing thrombocytopenia.other adverse effects are diarrhoea,liver damage and pneumonitis. * Cyclosporine and tacrolimus cause nephrotoxicity,hepatotoxicity,neurotoxicity as an adverse effect.